Integrated Management of Childhood Illness (IMCI) initiative was taken to prevent morbidity and mortality from all of the following except:
1. Malaria
2. Malnutrition
3. Otitis Media
4. Neonatal tetanus

Correct answer: 4. Neonatal tetanus

Explanation: Integrated Management of Childhood Illness (IMCI) initiative was taken to prevent morbidity and mortality from 1) diarrhoea 2) ARI (Acute Respiratory Tract Infections) 3) Malaria 4) Measles 5) Malnutrition. Ref: Park's Textbook of Preventive and Social Medicine By K. Park, 19th Edition, Page 372; Textbook of Paediatric Nursing By Assuma Beevi, Page 32